Which of the following volatile anesthetic interacts with non depolarizing, neuromuscular - blocking drugs:-
1. Isoflurane
2. Desflurane
3. Sevoflurane
4. All

Correct answer: 4. All

Explanation: All volatile anesthetic potentiate Neuromuscular Blocking Agent. they have membrane stabilizing effect. At equipotent dose agents desflurane potentiates most followed by other agents. Desflurane > Sevoflurane >Isoflurane > Halothane